NOT a sign of early pregnancy:
1. Goodell's sign
2. Hegar's sign
3. Cullen's sign
4. Palmer's sign

Correct answer: 3. Cullen's sign

Explanation: Ans. Cullen's sign